Which of the following is not a benign bone tumor -
1. Osteoid osteoma
2. Chondroma
3. Enchondroma
4. Chordoma

Correct answer: 4. Chordoma

Explanation: Chordoma is a malignant tumor arising from notochordal remnants.